A malignant pustule is a term used for:-
1. An infected malignant melanoma
2. A carbuncle
3. A rapidly spreading rodent ulcer
4. Anthrax of skin

Correct answer: 4. Anthrax of skin

Explanation: A malignant pustule is a term used for anthrax of skin. Option 4. Cutaneous anthrax/Hide porter's disease: Transmission- Cutaneous exposure to spores (enter through abraded skin). Characterized by- Malignant pustule: - Painless coal-black, necrotic eschar surrounded by non-pitting indurated edema. Option 2 Carbuncle Red, swollen, and painful cluster of boils that are connected to each other under the skin. Boil (or furuncle) i Infection of a hair follicle that has a small collection of pus (called an abscess) under the skin. Option 1, 3 These two are totally unrelated to malignant pustule.